Frie's test is useful for diagnosis of ?
1. Mycoplasma
2. Rickettsia
3. Sarcoidosis
4. Chlamydia

Correct answer: 4. Chlamydia

Explanation: Ans. is 'd' i.e., Chlamydia Fries test (skin hypersensitivity test) was used for LGV (caused by chlamydia trachomatis). But it is not used now because of high false positive results.